All are used in treatment of infertility, except :
1. Luteinizng hormone (LH)
2. Prolactin
3. GnRH
4. Clomiphene

Correct answer: 2. Prolactin

Explanation: Prolactin